Active principal of Lathyrus sativa is -
1. Pyrrolizidine
2. Sanguinarine
3. BOAA
4. Jhunjhunia

Correct answer: 3. BOAA

Explanation: The toxin present in lathyrus seeds is beta oxalyl amino alanine(BOAA)REF.PARK'S TEXTBOOK OF PREVENTIVE AND SOCIAL MEDICINE.Editon-21.Page no.-596.